b1 selective agonist is -
1. Terbutaline
2. Albuterol
3. Dobutamine
4. Isoetharine

Correct answer: 3. Dobutamine

Explanation: Ans. is 'c' i.e., Dobutamine o Dobutamine is a relatively selective DI agonist. Though it acts on both a and receptors, the only prominent action of clinically employed doses is its [3, action, i.e. an increase in force of cardiac contraction and output, without a significant change in HR., BP and Peripheral resistance.